Dactylographic is a:
1. Surest sign of identification
2. Probable sign of identification
3. Presumptive sign of identification
4. Doubtful sign of identification

Correct answer: 1. Surest sign of identification

Explanation: Surest sign of identification